The amount of sewage flowing in a system in 24 hours is called:
1. Sewage rate
2. Dry weather flow
3. RCA index
4. Sludge

Correct answer: 2. Dry weather flow

Explanation: Sewage is wastewater from a community, containing solid and liquid excreta, derived from houses, street and yard washings, factories and industries. It resembles dirty water with an unpleasant smell. The term "sullage" is applied to wastewater which does not contain human excreta, e.g., wastewater from kitchens and bathrooms. 
The amount of sewage that flows in the sewers depends upon: 

Habits of the people: If people use more water, there will be more sewage. 
Time of day: Sewage does not flow uniformly throughout the day. 

The average amount of sewage which flows through the sewerage system in 24 hours is called the "dry weather flow."
Park's textbook of preventive and social medicine 23rd edition
Page.no.762